Cidofovir can be used for?
1. Respiratory papillomatosis
2. Herpes simplex
3. Herpes zoster
4. All of the above

Correct answer: 4. All of the above

Explanation: ANSWER: (D) All of the aboveREF: Harrison 18m edition chapter 178 USES OF CIDOFOVIR:Cidofovir demonstrated a statistically significant effect in delaying the progression of CMV retinitis lesions in newly diagnosed patients, as well as in previously treated patients who had failed other therapies,Cidofovir has shown efficacy as an anti-HSV, anti-VZV and as an anti-CMVCidofovir has also shown efficacy in the treatment of acyclovir resistant herpesCidofovir has also been investigated as a treatment for progressive multifocal leukoencephalopathy, but as of 2005 studies are inconclusive.Cidofovir might have anti-smallpox efficacy and might be used on a limited basis in the event of a bioterror incident involving smallpox cases. In fact, there is a very high chance for Cidofovir to work against smallpox. A cidofovir derivative with much higher activity against smallpox that can be taken orally has been developed.Cidofovir shows anti-BK virus activity in a subgroup of transplant patientsCidofovir is beinginvestigated as acomplementaryintralesional therapy against papillomatosis caused by HPV.It has been suggested as an antitumor agent, due to its suppression of FGF2.